The primary site of multiplication of rickettsia! organisms is in the ?
1. Parenchymal cells of the liver
2. Endothelial cells of small vessels
3. Media of arteries
4. Adventitia of all blood vessels

Correct answer: 2. Endothelial cells of small vessels

Explanation: Ans. is 'b' i.e., Endothelial cells of small vessels Pathogenicity On entry into the human body, the rickettsiae multiply locally and enter the blood. They become localized chiefly in vascular endothelial cells, which enlarge, degenerate and cause thrombus formation, with partial or complete occlusion of the vascular lumen. . The overall pathological features of the rickettsia! diseases are due to the damage of vascular endothelium.